All are true about epistaxis except:
1. Keisselbach's plexus is source in 90% cases
2. If anterior packing is left in nose for more than 48hrs antibiotic coverage is given
3. Anterior nasal pack is easy to insert and less traumatic than balloon temponade
4. Trotter method is first aid method

Correct answer: 3. Anterior nasal pack is easy to insert and less traumatic than balloon temponade

Explanation: Answer- C. Anterior nasal pack is easy to insert and less traumatic than balloon temponadeKeisselbach's plexus: This plexus is the commonest site of bleeding (90% of cases)Anterior nasal packing- Prophylactic antibodies should be used it pack is in a place for more than 24 hours.A balloon tamponade may be used as an alternative to anterior nasal packing and This is less traumatic as it is best suited fpr epistaxis.Trotter's method- Patient may put in the sitting position with the head bending forwards with mouth open.Nasal endoscopy assisted bipolar cauterization under general anaesthesia may be done to coagulate the bleeder in case ofepistaxls is refractory to conservative measures.